Remnant of Notochord in Adults is:
1. Annulus fibrosus
2. Nucleus Pulposus
3. Vertebrae
4. Spinal cord

Correct answer: 2. Nucleus Pulposus

Explanation: Ans. B. Nucleus PulposusNotochord, flexible rod like structure of mesodermal cells that is the principal longitudinal structural element of chordates and of the early embryo of vertebrates, in both of which it plays an organizational role in nervous system development. In later vertebrate development, it becomes part of the vertebral column. With the formation of the vertebral column, the notochord is incorporated into the column as the centres of the intervertebral discs, called the nucleus pulposus, which cushion the vertebrae.